Pseudohypertrophy is seen in -
1. Facioscapulohumeral dystrophy
2. Emery Dreifuss muscular dystrophy
3. Myotonic dystrophy
4. Duchenne muscular dystrophy

Correct answer: 4. Duchenne muscular dystrophy

Explanation: Duchenne muscular dystrophy
Boys with Duchenne muscular dystrophy are normal at birth.
Very early motor milestones are met, but walking is one delayed.
The first indications of muscle weakness are clumsiness and inability to keep up with peers.
Weakness begins in the pelvic girdle muscles and then extends to the shoulder girdle
 Enlargement of the muscles of the lower leg associated with weakness, termed pseudohypertrophy, is often present